All are true about Digoxin except
1. Causes bradycardia due to increased vagal tone causes bradycardia due to increase the vagal tone
2. Acts by inhibiting Na+K+ATPase in myocardial fibres
3. It is 95% plasma protein bound
4. Primaryly excreted unchanged by glomerular filtration

Correct answer: 3. It is 95% plasma protein bound

Explanation: Plasma protein binding of digitoxin is high(95%) whearas it is Low(70-80%) for Digoxin Refer kDT 6/e p497